Radiographic findings of cardiac achalasia include all except:
1. Oesophageal dilatation
2. Rat-tail appearance
3. Failure of lower oesophageal sphincter to relax
4. Diffuse oesophageal spasm

Correct answer: 4. Diffuse oesophageal spasm

Explanation: In cardiac achalasia, there is lack of lower oesophageal sphincter to relax with consequent dilatation of oesophagus. Radiologically dilated oesophagus and spasm of lower oesophageal sphincter gives a "rat-tail" or "bird-beak" appearance. Primary achalasia is associated with idiopathic degeneration of ganglion cells of the Auerbach's plexus.Secondary cardiac achalasia is caused by:(i) . Carcinoma of distal oesophagus(ii) . Chaga's disease(iii) . Post-vagotomy syndrome(iv) . Cerebrovascular accident(v) . Diabetes.